Ujjwala scheme does not include ?
1. Rescue
2. Rehabilitation
3. Reintegration
4. Reward

Correct answer: 4. Reward

Explanation: Ans. is `d' i.e., Reward